A total of 5000 pts of glaucoma are identified and surveyed by pts. inteviews regarding family history of glaucoma. Such a study design is called ?
1. Case series report
2. Case control study
3. Clinical trial
4. Cohort study

Correct answer: 1. Case series report

Explanation: Ans. is 'a' i.e., Case series report Case series study: It is one of the research study used for non experimental epidemiology studies. Case series study simply describes presentation of a disease in a no. of patients. It does not follow the patients for a period & it uses no control or comparison group. Therefore it cannot establish a cause effect relationship & it's validity is entirely a matter for reader to decide, whether it is useful or worthless.Case report study :a special term form case series in which only one patient is described - this too may be very valuable or virtually worthless.Case control study: It is a analytical study in which comparison of people who do have the disease (the cases) with otherwise similar people who don't have the disease (controls) is made. These are retrospective studies. Case control studies start with outcomes or dependant variables. They then look back into past for possible independent variable (that may have caused the disease) to see if a possible risk factor was present more frequently in cases thean controls.Cohort Studies: This focusses on factors related to development of a disease. A cohort (group of people with common characteristics) that does not have the disease of interest is selected & then observed for an extended period. Some of the members will already have been exposed to a suspected risk factor for the disease & others will eventually become exposed. Incidence of disease can be studied. It is also known as followup, or longitudinal incidence or prospective study.Clinical trial: It is an experiemtnal method of epidemiological study. Clinical trials aim to isolate one factor (such as use of a drug) & examine its contributions to patients health by holding all other factors as constant as possible. They also utilise control groups & involve randomisation so also known as randomised controlled clinical trials.